Generalized anxiety disorder is diagnosed when anxiety and worry continues for at least?
1. 2 months
2. 4 months
3. 6 months
4. 8 months

Correct answer: 3. 6 months

Explanation: Ans. C. 6 monthsGENERALIZED ANXIETY DISORDERThis is characterized by excessive anxiety and worry which are persistent & generalized and not restricted to any specific situation or object.Excessive anxiety worry occur for at least 6 months.